Pneumoconiosis most likely to occur if a person is exposed to particle size range of:
1. 0.5 - 3 im
2. 3-5 im
3. 5-10 im
4. 10-15 im

Correct answer: 1. 0.5 - 3 im

Explanation: Ans: a (0.5-3) Ref: Park, 19th ed, p. 661Dust within the range of 0.5- 3 micrometer after a variable period of exposure, produces a type of lung disease known as pneumoconiosis.Important dust diseases include:SilicosisBagassosisAnthracosisAsbestosisByssinosisFarmers lung